TRUE statement about aspirin is :
1. In an afebrile patient acute overdose of aspirin produces hypothermia
2. Aspirin suppresses flushing associated with large dose of nicotinic acid
3. Aspirin therapy prevents granulomatous lesions and cardiac complications of acute rheumatic fever
4. Long term aspirin therapy increases the risk of developing colon cancer

Correct answer: 2. Aspirin suppresses flushing associated with large dose of nicotinic acid